Chandlers index is 225 . What is the interpretation-
1. Potential danger to community
2. No danger
3. Minor public health problem
4. Major public health problem

Correct answer: 1. Potential danger to community